Inguinal ligament forms the boundaries of -
1. Femoral triangle
2. Hesselbach's triangle
3. Both
4. None

Correct answer: 3. Both

Explanation: Inguinal ligament forms the base of femoral triangle and also forms the inferior border of Hesselbach’s triangle.